National switch day for polio vaccine is
1. April 25, 2016
2. April 26, 2017
3. April 24, 2025
4. April 23, 2014

Correct answer: 1. April 25, 2016

Explanation: Change over from trivalent to bivalent oral polio vaccine vaccine is National switch day. It was on April 25, 2016.